Right heart border is formed by all except –
1. SVC
2. IVC
3. Right atrium
4. Left atrium

Correct answer: 4. Left atrium